Eye examination of a 48-year-old man showed a golden brown ring around the cornea. You suspect a Kayser Fleisher ring, which is characteristically seen in which of the following conditions?
1. Hemosiderosis
2. Wilson's disease
3. Tyrosinemia
4. Hereditary cataract

Correct answer: 2. Wilson's disease

Explanation: Kayser Fleisher Ring is seen in Wilson's disease. KF ring is a golden brown ring which occur due to deposition of copper under the peripheral parts of the Descement's membrane of the cornea. Wilson's disease is a rare autosomal recessive disease of young adults characterized by abnormal copper metabolism which inturn causes changes in the basal nuclei, liver cirrhosis, and corneal pigmentation. Abnormal copper metabolism can result in deposition of copper in the posterior capsule of the lens resulting in sunflower cataract. Ref: Comprehensive Ophthalmology by A K Khurana, 4th edn, page 410